Barbiturates excretion in urine may be increased by-
1. Diuretics
2. Alkalinization
3. Acidification
4. Dialysis

Correct answer: 2. Alkalinization

Explanation: In barbiturate poisoning, forced alkaline diuresis is used.